For diagnosis of HIV infection in asymptomatic, minimum number of tests required is/are:
1. 1
2. 2
3. 3
4. 4

Correct answer: 3. 3

Explanation: Screening of HIV: Strategy 1: one out of three screening tests are used; Done for screening every blood unit before transfusion. Strategy II: Two out of three screening tests are used; Done for screening person who is symptomatic with any one of AIDS defining illness. Strategy III: All three screening tests are used; Done for screening person who is asymptomatic.